All are true regarding lupus anticoagulant except?
1. Thrombocytosis
2. Increased abortions
3. Rashes
4. Arterial thrombosis

Correct answer: 1. Thrombocytosis

Explanation: Answer is A (Thrombocytosis) Antiphospholipid syndrome secondary to lupus anticoagulant is associated with thrombocytopenia and not thrombocytosis